Most common skin cancer in Immunosuppressed  individuals is
1. Malignant melanoma
2. SCC
3. BCC
4. Dermatofibroma

Correct answer: 2. SCC

Explanation: Squamous cell cancer (SCC) is the most common skin cancer in immunosuppressed individuals.
And Basal cell cancer (BCC) is the most common skin cancer in general population.